A Child from slums with cheese like lesion on temporal side of Conjunctiva. Diagnosis is?
1. X1A
2. X1B
3. X2A
4. X3A

Correct answer: 2. X1B

Explanation: Ans. (b) X1B.Notice the cheesy white plaque seen on the temporal side of the cornea which is called as Bitot spots and classified as X1B.